IPC for causing abortion without women's consent:
1. 312
2. 313
3. 314
4. 315

Correct answer: 2. 313

Explanation: Criminal Abortion is dealt under Section 312-316 IPC: Sec. 312 I.P.C. whoever voluntarily causes criminal abortion is liable for imprisonment up to three years, and/or fine; and if the woman is quick with child the imprisonment may extend up to seven years. It is necessary that the woman should be pregnant and that abortion should be carried with her consent. Both the person causing the abortion and the woman are liable for punishment. Sec. 313 IPC: if the miscarriage is caused without the consent of the woman, the imprisonment may be up to ten years. Sec. 314 IPC: if a pregnant woman dies from an act intended to cause miscarriage, the offender is liable to be punished with rigorous imprisonment which shall not be less than ten years and also fine up to two lakh rupees. Sec. 315 IPC: a person doing an act intended to prevent the child from being born alive or to cause to die after its birth, is liable to be punished with imprisonment up to ten years. Sec. 316 IPC: causing death of quick unborn child by any act amounts to culpable homicide, and the punishment may extend up to ten years imprisonment.